Epidemo keratoconjunctivitis is caused by?
1. HSV
2. Adenovirus
3. Chlamydia
4. HIV

Correct answer: 2. Adenovirus

Explanation: ANSWER: (B) AdenovirusREF: Khurana 4th ed p. 70VIRAL CONJUCTIVITISAcute hemorrhagic conjunctivitisEnterovirus 70 (picornavirus)Epidemic keratoconjunctivitisAdenovirus 8,19Pharyngo conjunctival feverAdenovirus 3 and 7